In a patient with CSOM, labrynthine fistula most commnonly involves ?
1. Superior SCC
2. Lateral SCC
3. Posterior SCC
4. Utricle

Correct answer: 2. Lateral SCC

Explanation: Ans. is 'b' i.e., Lateral SCC Labrynthine fistula is almost exclusively reported in association with chronic otitis media and cholesteatoma. The most commonly affected canal is lateral (horizontal) semicircular canal, but involvement of the posterior and superior canals as well as other regions of labyrinth have been reported. The incidence of labrynthine fistula in chronic otitis media is approximately 10%.